Which among the following doesn't enter human body skin?
1. Ancyclostoma
2. Strongyloides
3. Trichinella
4. Necator

Correct answer: 3. Trichinella

Explanation: Trichinella REF: Jawetz, Melnick, & Adelberg's Medical Microbiology, 24T" edition chapter 46 Table 46-4 Indirect repeat in December 2011, See APPENDIX-74 for "DISEASES DUE TO HELMINTHS" "Trichinella infectes by ingestion of undercooked pork which contains encysted larvae in the straited muscle" Skin penetration is seen in: Hookworms; Ancylostoma duodenale, Necator americanus Strongyloides Schistosoma (Cercariae larvae)